On sectioning of an organ at the time of autopsy, a focal, wedge-shaped firm area is seen accompanied by extensive hemorrhage, with a red appearance. The lesion has a base on the surface of the organ. This findings
is typically of:
1. Liver with hypovolemic shock
2. Heart with coronary thrombosis
3. Lung with pulmonary thromboembolism
4. Kidney with septic embolus

Correct answer: 3. Lung with pulmonary thromboembolism

Explanation: • The morphology is characteristically present as red (hemorrhagic) infarct. The red infarcts are seen in lung, liver and intestine.
• White infarcts are seen in brain, spleen, kidney and heart.